A 22 year old female presents with dirty warty papules in the seborrheic areas especially in the summer. Her father also gives a h/o similar lesions. What is the most probable diagnosis?
1. Pemphigus foliaceus
2. Keratosis pilaris
3. Darier's disease
4. Seborrheic dermatitis

Correct answer: 3. Darier's disease

Explanation: It is also known as Keratosis follicularis with autosomal dominant inheritance.